Retention of Urine is most likely to be caused by:
1. Subserous fibromyoma
2. Interstitial fibromyoma
3. Submucous fibromyoma
4. Posterior cervical fibromyoma

Correct answer: 4. Posterior cervical fibromyoma

Explanation: Posterior cervical fibromyoma